Anti-smoking drug is?
1. Theophylline
2. Biclutamide
3. Salmeterol
4. Varenicline

Correct answer: 4. Varenicline

Explanation: Ans. (d) VareniclineRef Harrison 17/e, chapter 390